A 14 year old male was presented to the casualty on a saturday night with left sided upper abdominal pain. Clinical examination revealed massive splenomegaly. He has history of massive hematemesis 2 year back, and was diagnosed to have Extrahepatic Portal Venous Obstruction (EHPVO) and bleeding was controlled by ligation of the esophageal varices. What is the likely diagnosis?
1. Acute pancreatitis
2. Aortic dissection
3. Splenic infarction
4. Intussusception

Correct answer: 3. Splenic infarction

Explanation: EHPVO is a common cause of portal hypertension in children. It commonly presents with stable massive variceal bleeding during childhood. Patients have massive splenomegaly. Splenic infarction and mesenteric vein thrombosis are the two possibilities if EHPVO develops sudden onset of abdominal pain. Here we have splenic infarction as the answer.